Commonest type of lung carcinoma in nonsmokers is
1. Squamous cell carcinoma
2. Adenocarcinoma
3. Alveolar cell carcinoma
4. Small cell carcinoma

Correct answer: 2. Adenocarcinoma

Explanation: Answer is B (Adenocarcinoma): `The most common lung carcinoma arising in life time non smokers in Adenocarcinoma'-